Which among following is/are antipsychotics?
1. Resperidone
2. Lurasidone
3. Asenapine
4. All of the above

Correct answer: 4. All of the above

Explanation: Ans. D. All of the above. (Ref. Kaplan & Sadock's Pocket Handbook of Psychiatric Drug Treatment /ch. 28; Harrison Medicine 18th/ Ch. 391. Table 391-14).As of 2013, ten 2nd generation antipsychotic drugs weer approved bt the FDA, which include: risperidone, risperidone IM long acting, olanzapine, olanzapine ER inj suspenion, queriapine, quetiapine XR, ziprasidone, aripiprazole, paliperidone, paliperidone palmitate, asenapine, lurasidone, iloperidone, and clozapine.Antipsychotic AgentsNameUsual PO Daily Dose, mgSide EffectsSedationCommentsFirst-Generation AntipsychoticsLow-potencyChlorpromazine100-1000Anticholinergic effects; orthostasis; photosen-+ + +EPSEs usually not prominent; can cause anticholinergic delirium in elderly patientsThioridazine100-600sitivity; cholestasis; QT prolongation MidpotencyTrifluoperazine2-50Fewer anticholinergic side effects+ +Well tolerated by most patientsPerphenazine4-64Fewer EPSEs than with higher potency agents.++Little weight gainLoxapine30-100Frequent EPSEs+ + Molindone30-100Frequent tPSEs0 High potencyHaloperidol5-20No anticholinergic side effects; EPSEs often prominent0/+Often prescribed in doses that are too high; long-acting injectable forms of haloperidol and fluphenazine availableFluphenazine1-20Frequent EPSEs0/+ Thiothixene2-50Frequent EPSEs0/+ Second-Generation AntipsychoticsClozapine150-600Agranulocytosis (1%); weight gain; seizures; drooling; hyperthermia+ +Requires weekly WBC count for first 6 months, then biweekly if stableRisperidone2-8Orthostasis+Requires slow titration; EPSEs observed with doses >6 mg qdOlanzapine10-30Weight gain+ +Mild prolactin elevationQuetiapine350-800Sedation; weight gain; anxiety+ + + Bid dosingZiprasidone120-200Orthostatic hypotension+/++Minimal weight gain; increases QT intervalAripiprazole10-30Nausea, anxiety, insomnia0/+Mixed agonist/antagonistPaliperidone3-12Restlessness, EPSEs+Active metabolite of risperidonelloperidone12-24Dizziness, hypotension0/+Requires dose titrationAsenapine10-20Dizziness, EPSEs, weight gain++Sublingual tablets; bid dosingLurasidone40-80Nausea, EPSEs++Uses CYP3A4